Drug given to reduce uterine contractions during preterm labour with least side effects:
1. Ritodrine
2. Nifidipine
3. Magnessium sulphate
4. Progesterone

Correct answer: 2. Nifidipine

Explanation: Nifidipine which is a calcium channel blocker has the advantage of being effective orally,safe and cheap.Transient hypotension should be looked out for .A Cochrane review found that nifedipine was superior to betamimetics as a tocolytic.But there is no clear first line agent to date .(pg 175 textbook of obstetrics Sheila balakrishnan 2nd edition)